Paltaufs haemorrhages are seen in:
1. Drowning
2. Fire arm injury
3. Hanging
4. Strangulation

Correct answer: 1. Drowning

Explanation: Drowning